Your patient becomes restless and tells you she has a headache and feels nauseous during hemodialysis. Which complication do you suspect?
1. Infection
2. Disequilibrium syndrome
3. Air embolism
4. Acute hemolysis

Correct answer: 2. Disequilibrium syndrome

Explanation: Disequilibrium syndrome is caused by a rapid reduction in urea, sodium, and other solutes from the blood. 
This can lead to cerebral edema and increased intracranial pressure (ICP). Signs and symptoms include a headache, nausea, restlessness, vomiting, confusion, twitching, and seizures.